What is the investigation of choice in a patient with blunt abdominal trauma with hematuria
1. Ultrasonography of abdomen
2. Contrast enhanced tomography
3. Intravenous urogram
4. Retrograde urogram

Correct answer: 2. Contrast enhanced tomography

Explanation: CT Scan of Abdomen: It is most commonly used and better investigation for abdominal trauma. It is useful in blunt/penetrating trauma, suspected pancreas, spleen, liver, duodenal, retroperitoneal injuries. Smaller injuries, early haemoperitoneum are better detected. It is noninvasive, highly specific, highly accurate (96%), with low false-positive/low false-negative, noninvasive. Ultrasound Abdomen -Disadvantages: It is less useful in obesity, with interposition of gas, when fluid is less than 500 ml; retroperitoneal injuries and bowel injuries. SRB's Manual of Surgery, 4th Edition, pg. no. 151